A farmer working in the sugar cane industry comes to you for advice on how to prevent fungal infection (bagassosis) of the lung. His elder brother was diagnosed to have bagassosis 1 month ago. You would advise him to spray the sugar cane with which of the following?
1. 2% formic acid
2. 2% acetic acid
3. 2% propionic acid
4. 10% hypochlorite solution

Correct answer: 3. 2% propionic acid

Explanation: Bagassosis is caused due to thermoactinomyces sacchari. The preventive measures include dust control, personal protection using masks etc. Pre Placement medical assessment followed by periodical medical check up and spraying the bagasse with 2% propionic acid. Keeping the humidity over 20% is also helpful. Ref: Park, Edition 21, Page - 747, 748